First tooth to appear is?
1. Central lower incisor
2. Lateral lower incisor
3. Upper central incisor
4. Lower lateral incisor

Correct answer: 1. Central lower incisor

Explanation: Ans. is 'a' i.e., central lower incisor o First temporary tooth to appear (in primary dentition) is lower central incisors and last temporary tooth to erupt is 2nd molar. The sequence of eruption is lower central incisor > upper central incisor > upper lateral incisor > lower lateral incisor > 1st molar > Canine > 2nd molar Therefore eurption of temporary teeth is completed by eruption of 2nd molar at 25 months (2 years).o First permanent tooth to erupt (in secondary dentition) is 1 st molar and last to erupt is 3rd molar. The sequence of eruption is 1st molar > central incisor > lateral incisor > 1st premolar > 2nd premolar > canine > 2nd molar > 3rd molar. Eruption of permanent teeth is completed by eruption of 3rd molar between 17-25 years.